Which of the following is false about Bulimia nervosa ?
1. More common is males
2. Seen in 20 - 40 year age group
3. Serotonin is implicated in pathophysiology
4. Characterized by binge eating followed by compensatory behaviors.

Correct answer: 1. More common is males

Explanation: Bulimia nervosa is more common in females.